What does MHC class III genes encode?
1. Interleukin 2
2. Beta 2 microglobulin
3. Tumor necrosis factor
4. Complement component C3

Correct answer: 3. Tumor necrosis factor

Explanation: MHC class III genes encodes proteins of classic and alternate complement pathways (C2 and C4, properdin factor B), soluble proteins, tumor necrosis factors (TNF alpha, beta), HSP 70 and the 21 hydroxylase producing gene. Genes coding for Class III MHC molecules are located in the class III region on chromosome 6, between HLA B locus and the HLA DR. The class III molecules are not histocompatibility antigens but are certain soluble molecules such as complement components and tissue necrosis factor. Ref: Textbook of Immunology By Basir, Pages 93-4.